V/Q ratio at the base of lung-
1. 1
2. 3
3. 0.6
4. 1.8

Correct answer: 3. 0.6

Explanation: Ans. is 'c' i.e., 0.6 o Overall V/Q ratio of lung-0.8o V/Q ratio at apex-3.0 (maximum)o V/Q ratio at base-0.6 (Least)